Tuberculosis verrucosa cutis is a form of:-
1. Tuberculid
2. Primary tuberculosis
3. Post primary tuberculosis with good resistance
4. Post primary tuberculosis with poor resistance

Correct answer: 3. Post primary tuberculosis with good resistance

Explanation: Tuberculosis verrucosa cutis is a variant of cutaneous tuberculosis in patients with good cell mediated immunity to M. tuberculosis. Rough verrucous way lesion usually heals with scar. Generally present on extremities. Tuberculid include Lichen scrofulosorum/ Micronodular TB Papulonecrotic TB Erythema induratum of bazin/ Bazin's disease